In depression, there is a deficiency in
1. 5-HT
2. Ach
3. Dopamine
4. GABA

Correct answer: 1. 5-HT

Explanation: SEROTONIN is produced from TRYPTOPHAN it is a neuro transmitter that controls the well being of the individual it controls drive to day to day activities, controls sleep and appetite. TRPTOPHAN helps in production of MELATONIN MELATONIN controls SLEEP A decreased level of brain 5-hydroxytryptamine (5-HT) has been theorized to be a factor in depression. The theory arose from clinical observations that drugs enhancing extracellular levels of 5-HT have antidepressant effects in many patients. Reference: Kaplon and sadock, 11 th edition, synopsis of psychiatry, 11 th edition, pg no. 752